Male started alcohol at 20 years, presently taking 3 quarters daily over 30 years, now complains that he gets the kick in I quarter, diagnosis?
1. Withdrawal
2. Mellanby phenomenon
3. Reverse tolerance
4. Cross tolerance

Correct answer: 3. Reverse tolerance

Explanation: Reverse tolerance It is the phenomenon of Decrease in the quantity of Intake usually because of end organ damage .in this person would get the kick by the less than usual dose of the quantity of substance. Mellan By phenomenon ( Acute Tolerance )is the phenomenon of differential response to the same amount of substance